A 10-year-old boy has severed his radial nerve. Which of the following cells plays a major role in axonal regrowth?
1. Fibrous astrocytes
2. Fibroblasts
3. Oligodendrocytes
4. Schwann cells

Correct answer: 4. Schwann cells

Explanation: Schwann cells play a major role in axon regeneration (axon regrowth) in the PNS